Regular vein, artery and nerve CVAN') arrangement is not present in which intercostal space (not the rib):
1. First intercostal space
2. Second intercostal space
3. Third intercostal space
4. Eleventh intercostal space

Correct answer: 1. First intercostal space

Explanation: Ans. a. First intercostal spaceRegular vein, artery and nerve (`VAN') arrangement is not present in first intercostal space.First RibThe first rib is supplied by the internal thoracic artery and superior intercostal artery. Venous drainage is the intercostal vein.The rib is innervated by first intercostal nerve.The first intercostal vessels and nerve pass along the lower surface between intercostal intimi and costal pleura with arrangements of nerve, artery and vein from above downwards.